A 30-year-old male attends blood transfusion department for platelet apheresis. He has not donated blood before. During apheresis, he suddenly feels tingling around the mouth, numbness in the arm. An ECG was taken and shows ST segment elevation. What is the reason?
1. Blood phobia
2. Due to first time transfusion
3. Citrate toxicity
4. Hypothermia

Correct answer: 3. Citrate toxicity

Explanation: ANS. CThe diagnosis of the above question is hypocalcemia due to excess citrate producing symptoms of hypocalcemic tetany.ECG--characteristics of hypocalcemia